Which of the following tubes is used in surgery for cleft palate
1. Flexometallic tube
2. RAE tube
3. Robert shaw double lumen tube
4. None

Correct answer: 2. RAE tube

Explanation: RAE tube is used for surgery of cleft palate.